Which of the following is not a chain-breaking antioxidant?
1. Superoxide Dismutase
2. Uric Acid
3. Catalase
4. Vitamin E

Correct answer: 3. Catalase

Explanation: FREE RADICAL SCAVENGING SYSTEM
Antioxidants fall into two classes:

Preventive antioxidants, which reduced the rate of chain initiation.

They are Glutathione Peroxidase, Catalase.


Chain-breaking antioxidants, which interfere with chain propagation.

They are Superoxide Dismutase, Uric Acid, Vitamin E.



Reference- Review of biochemistry Rebecca James Perumcheril Pg-412